Which of the following antiepileptic can be used to treat neonatal jaundice
1. Phenytoin
2. Phenobarbitol
3. Sodium valproate
4. Vigabatrin

Correct answer: 2. Phenobarbitol

Explanation: Phenobarbitol promotes conjugation of bilirubin & thus can be used to treat hyperbiliubinemia. It is also the DOC for Crigler Najjar syndrome.